The most common cause of suppurative cholangitis is -
1. Stone in common bile duct
2. Cancer of the ampulla of vater
3. Choledochal cyst
4. Empyema of gall bladder

Correct answer: 1. Stone in common bile duct